Pulmonary function abnormalities in interstitial lung diseases include all of the following except
1. Reduced vital capacity
2. Reduced FEV1 /FVC ratio
3. Reduced diffusion capacity
4. Reduced total lung capacity

Correct answer: 2. Reduced FEV1 /FVC ratio

Explanation: A group of disorders that cause progressive scarring of lung tissue. Interstitial lung disease may be caused by long-term exposure to hazardous materials, such as asbestos or coal dust, or it can be caused by an auto-immune disease such as rheumatoid arthritis. Once lung scarring occurs, it's generally irreversible. Ref: guyton and hall textbook of medical physiology 12 edition page number:327,328,329